VAT in mechanical ventilation stands for
1. Ventilator associated trauma
2. Ventilator associated treatment
3. Ventilator associated tracheobronchitis
4. None of the above

Correct answer: 3. Ventilator associated tracheobronchitis

Explanation: VAT (Ventilator-associated tracheobronchitis) & VAP (Ventilator-associated pneumonia) are nosocomial lower respiratory tract infections common in patients who are on the ventilator for long periods of time (Refer: Morgan and Mikhail's Clinical Anaesthesiology, 5th edition)